Kunkel's test is done demonstrate the presence of --in blood.
1. Lead
2. CuSO4
3. CO
4. Dhatura

Correct answer: 3. CO

Explanation: CO